Which of the following statements about lamivudine is FALSE :
1. Possess Anti-HIV and anti–HBV activity
2. Dose lower for blocking HIV replication than HBV replication
3. Should not be used as monotherapy in HBV/HIV infected patients
4. Anti–HBe seroconversion occurs in minority of patients

Correct answer: 2. Dose lower for blocking HIV replication than HBV replication